Area falling under 2 S.D. curve would be around -
1. 66%
2. 95%
3. 57%
4. 99%

Correct answer: 2. 95%

Explanation: Ref: Parks 23rd edition pg 848 The several measures of variation or dispersion of which the following are widely known : RangeThe mean or Average deviation The standard deviation . Ref:Parks 23rd edition pg 849. 1SD : confidence limit = 68% 2SD : confidence limit = 95% 3SD : confidence limit = 99.7%